i.v. glucose tolerance is done in -
1. Children
2. Pregnancy
3. Gastrectomy
4. Old age

Correct answer: 3. Gastrectomy